Vaginal delivery is impossible in :
1. Persistent Mento-posterior presentation
2. Persistent occipito-posterior presentation
3. Mento-anterior presentation
4. Breech presentation

Correct answer: 1. Persistent Mento-posterior presentation

Explanation: Persistent Mento-posterior presentation